Cause of red congested painful eye with mild dilated vertically oval pupil
1. Acute congestive glaucoma
2. Anterior uveitis
3. Keratoconjunctivitis
4. Eale's disease

Correct answer: 1. Acute congestive glaucoma

Explanation: Ans. is 'a' ie. Acute congestive glaucomaDifferential diagnosis of common caused of Red eye* Acute conjunctivitisAcute anterior uveitisAcute congestive glaucomaCorneal trauma or infectionDischargeWateryNoneNoneWatery or purulentPainNoneModerateSevereMod to severeVisionNo effectSlightly blurredMarkedly blurredUsually blurredConjunctival injectionDiffuse; more towards fornicesMainly circumcornealMainly circumcornealMainly circumcornealCorneaClearUsually clearSteamyChanges in clarity related to causePupilNormalMiotic and unequalDilated , oval & fixedNormal or smallIOPNormalNormalElevatedNormalAC depthNDeepShallow